Birt-Hogg-Dube syndrome is associated with increased risk of malignancy in which of the following organs?
1. Stomach
2. Lung
3. Kidney
4. Ovaries

Correct answer: 3. Kidney

Explanation: Birt-Hogg-Dube syndrome: Autosomal Dominant Defect in BHD gene which codes for folliculin Triad:- S:Skin manifestations (fibrofolliculomas, trichodiscomas, and acrochordons) R:Renal Cancer P:Pulmonary cysts or blebs